Neurological manifestations of Wilson's disease include all except?
1. Cerebellar ataxia
2. Peripheral neuropathy
3. Chorea
4. Dysphagia

Correct answer: 2. Peripheral neuropathy

Explanation: The neurologic manifestations of Wilson's disease typically occur in patients in their early twenties. MRI and CT scans reveal damage in the basal ganglia and occasionally in the pons, medulla, thalamus, cerebellum, and subcortical areas. The three main movement disorders include dystonia, incoordination and tremor. Dysarthria and dysphagia are common. In some patients, the clinical picture closely resembles that of Parkinson's disease. Dystonia can involve any part of the body and eventually leads to grotesque positions of the limbs, neck, and trunk. Autonomic disturbances may include orthostatic hypotension and sweating abnormalities as well as bowel, bladder, and sexual dysfunction. Memory loss, migraine-type headaches, and seizures may occur. Patients have difficulties focusing on tasks, but cognition is not usually grossly impaired. Sensory abnormalities and muscular weakness are not features of the disease. Ref: Harrison's Internal Medicine, 18th Edition, Pages 3188-3190